Dark ground microscopy is used for:
1. TPI
2. Kahn's test
3. FTA-ABS
4. VDRL

Correct answer: 1. TPI

Explanation: In TPI test , the serum of patient with complement and T.pallidum maintained in a complex medium anaerobically . If the antibodies are present , the treponemes are rendered non motile, when examined under dark ground illumination Kahn test and VDRL test are non specific antigen antibody test ,cardiolipin antigen is used. FTA-ABS is specific antigen antibody test